Denominator of proportional mortality is -
1. Mid year population
2. Total cases
3. Total death due to all causes in one year
4. Total death due to one cause

Correct answer: 3. Total death due to all causes in one year

Explanation: park's textbook of preventive and social medicine 23rd edition. *proportional mortality from a specific disease :no of death from the specific disease in a year /totaldeaths from all causes in that year multiplied by 100